The most common type of trachea - esophageal anomlay is
1. Esophageal atresia with fistula to the distal esophagus
2. Esophageal atresia without fistula
3. Esophageal atresia with fistula to the proximal esophagus
4. H-type fistula without esophageal atresia

Correct answer: 1. Esophageal atresia with fistula to the distal esophagus

Explanation: Five types of tracheo-oesophageal fistula are recognised. in the most common variety{80%}the upper part of the esophagus ends blindly and the lower part is connected to trachea by a fistula in second type there is no fistulous connection between either the upper or the lower part of esophagus and the trachea no esophageal atresia,but there is a fistulous connection between trachea and esophagus{H type} Upper segment of esophagus opens into trachea is uncommon in the least common variety both segments open into trachea. Ref : ESSENTIAL PEDIATRICS,O.P.GHAI,PG NO:151,7th edition